All of the following are true about the Herd Immunity for infectious diseases except:
1. It refers to group protection beyond what is afforded by the protection of immunized individuals
2. It is likely to be more for infections that do not have a sub-clinical phase
3. It is affected by the presence and distribution of alternative animal hosts
4. In the case of tetanus it does not protect the individual

Correct answer: 2. It is likely to be more for infections that do not have a sub-clinical phase

Explanation: Occurrence of clinical and subclinical infection in a community is responsible for herd immunity. Herd immunity; * It is the level of resistance of a community or group of people to a particular disease. * Herd immunity provides an immunological barrier to the spread of disease in the human herd. * The epidemic wave declined with a build-up of herd immunity following natural infection. * It is neither possible nor necessary to achieve 100 per cent herd immunity in a population to halt an epidemic or control disease, as seen in SMALL POX eradication. * Herd immunity implies group protection beyond that afforded by the protection of immunized individuals. It provides an immunological barrier to the spread of disease in the human herd. * It may lead to elimination of the disease in due course (Eg. Poliomyelitis and Diphtheria). * In the case of tetanus, however, herd immunity does not protect the individual.